Sellick's maneuver is used for
1. To prevent alveolar collapse
2. To prevent gastric aspiration
3. To facilitate Respiration
4. To reduce dead space

Correct answer: 2. To prevent gastric aspiration

Explanation: Ans. (b) To prevent gastric aspirationRef : Miller's Anaesthesia 7th ed. 12430* Sellick s manuever is a method of preventing regurgitation of an anesthesized patient during endotracheal intubation by applying pressure to the cricoid cartilage.* Or in other words, Sellicks maneuver is application of backward pressure on cricoid cartilage to prevent gastric aspiration (Mandelson s syndrome).